Meibomian glands secrete which components of tears?
1. Water (aqueous)
2. Mucin
3. Protein
4. Lipid

Correct answer: 4. Lipid

Explanation: (Refer: AK Khurana Comprehensive Ophthalmology, 6th edition, pg no.366) The major function of lacrimal apparatus is to secrete and drain the tear. Tear film consists of 3 layers:- Mucous or mucin layer (innermost):- Secreted by conjunctival goblet cells, crypts of Henle, glands of Manz, lacrimal glands The meibomian glands of the lid produce a lipid material whose synthesis is dependent on neuronal, hormonal, and vascular factors. This lipid material is fluid, spreads easily, is a surfactant as well as an aqueous barrier and must remain functional after a blink. Lipid layer (outermost):- Secreted by the Meibomian, Zeis, and Moll glands